All except one are tests for macular function?
1. Laser interferometry
2. Two point discrimination
3. Maddox rod test
4. Retinal ERG Electroretinogram

Correct answer: 4. Retinal ERG Electroretinogram

Explanation: D i.e. Retinal ERG